Straight back syndrome is associated with?
1. Mitral valve Prolapse
2. Ankylosing spondylitis
3. Osteopetrosis
4. Cor-triatriatum

Correct answer: 1. Mitral valve Prolapse

Explanation: Straight back syndrome: Loss of thoracic kyphosis (antero-posterior diameter of chest is relatively lesser), so place available for heart is also less. Heart is sandwiched b/w thoracic vertebrae, sternum and rib cage. Causes Mitral valve Prolapse =>Mid Systolic click Ankylosing spondylitis - AR condition